Medial wall of orbit is formed by all except:
1. Lesser wing of sphenoid
2. Ethmoid bone
3. Frontal process of maxilla
4. Lacrimal bone

Correct answer: 1. Lesser wing of sphenoid

Explanation: Ref: Grays Anatomy 40th edition pg: 244Explanation:Anatomy of OrbitThe orbits are conical or four-sided pyramidal cavities, which open into the midline of the face and point back into the head.Each consists of a base, an apex and four walls.The base, which opens in the face, has four borders.Borders of Orbital BaseSuperior margin: Frontal boneInferior margin: Maxilla Palatine and ZygomaticMedial margin: Frontal. Lacrimal and EthmoidLateral margin: Zygomatic and SphenoidWalls of the OrbitMedial Wail of the OrbitThis is the thinnest wall of the orbitFormed by four bones1. Frontal process of maxilla2. Lacrimal bone3. Orbital plate of ethmoid4. Body of sphenoidLateral wall of the OrbitThis is the strongest wallFormed by two bones1. Zgomatic bone2. Orbital surface of greater w ing of sphenoid RoofFormed by two bones1. Orbital plate of frontal bone2. Lesser wing of sphenoidFloorIt is formed by three bones1. Orbital surface of the body of the maxilla2. Zygomatic bone3. Orbital surface of Palatine bone